Peptidyl transfer is a/an
1. Termination factor
2. Elongation factor
3. Ribozyme
4. None

Correct answer: 3. Ribozyme

Explanation: Interestingly, some RNA molecules have intrinsic catalytic activity. The activity of these RNA enzymes, or ribozymes, often involves the cleavage of a nucleic acid. Two ribozymes are the peptidyl transferase that catalyzes peptide bond formation on the ribosome, and ribozymes involved in the RNA splicing.Ref: Harpers Illustrated Biochemistry, 30th edition, page no: 363